Platelets can be stored at -
1. 20-24deg C for 5 days
2. 20-24deg C for 8 days
3. 4-8deg C for 5 days
4. 4-8deg C for 8 days

Correct answer: 1. 20-24deg C for 5 days

Explanation: Ans. is 'a' i.e., 20-24degC for 5 days Summary of Available ]Blood ComponentsComponentCompositionShelf LifeWhole bloodRBCs; nonfunctional WBCs and platelets; plasma (450 ml total volume contains 200 ml of RBCs)CPDA-1: 35 days (1deg to6degC)Packed RBCsRBCs; some plasma; nonfunctional WBCs and platelets (250 to 350 ml total volume contains 200 ml of RBCs)AS-1: 42 daysLeukocyte-reducedRBCsRBCs; minimum plasma and nonfunctional WBCs and platelets (200 ml total volume contains 170 to 190 ml of RBCs)24 hr (1deg to 6degC)Platelets (single unit from whole blood donation)Platelets; some nonfunctional WBCs; few RBCs; plasma (50 to 70 ml total volume contains 5.5 (1010 platelets); levels of labile clotting factors depend on storage time5 days (20deg to 24degC)Platelets (apheresis from random donor)As above; usually contains as many platelets as 6 to 10 single units (>30 (1010)Usually 24hr; up to 5 days (20deg to 24degC)Leukocyte concentrate.|WBCs; may contain large numbers of platelets, some RBCs (600 ml total volume contains 5 to 30 (109 granulocytes)24 hr (20deg to 24degC)Fresh frozen plasma|Plasma, all coagulation factors (180 to 250ml contains 0.7 to 1 unit/ml of prothrombin; factors V, VII, VIII, IX, XII, and XIII; and 500 mg of fibrinogen)Frozen: 1 yr (<- 30degC) Thawed: 24 hr (1deg to 6degC)Cryoprecipitate|Fibrinogen, factors VIII, VIIIR, XIII, fibronectin (10 to 20 ml contains 80 units/ml factor VIII, 200 mg fibrinogen)Frozen: 1 yr (<-30degC) Thawed: 4hr if pooled (20deg to 24degC)AlbuminAlbumin (12.5 g albumin in 50 or 250 ml)3yr (room temperature)